What is the color coding of the bag used in hospitals to dispose off human anatomical wastes such as body parts:
1. Yellow
2. Black
3. Red
4. Blue

Correct answer: 1. Yellow

Explanation: Ref : Park's Textbook of Preventive medicine